Features of SLE include all of the following except -
1. Recurent abortion
2. Sterility
3. Coomb's positive hemolytic anemia
4. Psychosis

Correct answer: 2. Sterility